One of the characteristic bedside features of Korsakoff's psychosis is-
1. Astereogenesis
2. Apraxia
3. Confabulation
4. Hallucination

Correct answer: 3. Confabulation